Choking off mechanism takes place after topical application of
1. NaF
2. SnF2
3. APF
4. Sodium monofluorophosphate

Correct answer: 1. NaF